Reabsorption and secretion of various substances in various quantity is taking place throughout the renal tubules. Minimal reabsorption in kidney occurs for which of the following?
1. Urea
2. Glucose
3. Na
4. HC03

Correct answer: 1. Urea

Explanation: Approximately 66% of filtered sodium ions (Na+), 85% of the NaHCO3, 65% of the K+, 60% of the water, and virtually all of the filtered glucose and amino acids are reabsorbed in the proximal tubule. About half of filtered urea is reabsorbed in the proximal tubule. An amount equal to that reabsorbed is then secreted back into the loop of Henle. Finally, about half is reabsorbed again in the medullary collecting duct. The net result is that about half the filtered load is excreted. Ref: Eaton D.C., Pooler J.P. (2009). Chapter 5. Renal Handling of Organic Substances. In D.C. Eaton, J.P. Pooler (Eds), Vander's Renal Physiology, 7e.